Which is false about Crohn's disease?
1. No recurrence after surgery
2. Aphthous ulcer
3. Skip lesions
4. Fistula formation

Correct answer: 1. No recurrence after surgery

Explanation: Crohn's disease (CD) can invade any part of GIT from the oral cavity to the anus. Studies show that 70% of patients with CD will require a bowel resection in the first decade after diagnosis and 40% will require a further resection * Since surgery does not cure CD, the fundamental principle is to preserve healthy gut and to maintain adequate function. As the disease might recur after the surgery. Surgery is palliative in Crohn's disease whereas curative in Ulcerative colitis (UC). In UC disease starts from rectum and the further proceeds to the colon. Hence a single proctocolectomy is performed which is curative.